Most common position of hymen rupture in a virgin is:
1. Anterior
2. Anterio-lateral
3. Posterio-lateral
4. Posterior

Correct answer: 3. Posterio-lateral

Explanation: Ans. (C). Posterolateral(Ref: The essentials of forensic medicine and toxicology; Dr. KS Narayana Reddy, 33rd edition; Page no: 390)Hymen tearsCongenital: AnteriorIntercourse/ Foreign body: PosterolateralQIn a virgin, laceration of hymen occurs with the First intercourseThis is the principal evidence of intercourse in a virgin.Tearing of hymen usually occurs postero-laterally or in the middleOther conditions causing ruptured hymen before coitusAccidentsMasturbationInstrumentation by doctorsArtificial dilatation of vagina by foreign bodies for prostitutionPassage of large blood clots